The setting of zinc phosphate is accelerated by:
1. Adding a drop of water
2. Increasing mixing time
3. Cooling the slab
4. Adding a drop of oleic acid

Correct answer: 1. Adding a drop of water